Ujjwala is for -
1. Child abuse
2. Child trafficking
3. Child labour
4. None

Correct answer: 2. Child trafficking

Explanation: Ujjawala ,a comprehensive scheme to combact trafficking was launched in infia by the Ministry of Women and Child Development.REF.PARK'S TEXTBOOK OF PREVENTIVE AND SOCIAL MEDICINE.Editon-21.Page no.-542